In the absence of vasopressin, the greatest fraction of filtered water is absorbed in the
1. Proximal tubule.
2. Loop of Henle.
3. Distal tubule.
4. Cortical collecting duct.

Correct answer: 1. Proximal tubule.

Explanation: Because the ratio of the concentration in tubular fluid to the concentration in plasma (TF/P) of the nonreabsorbable substance inulin is 2.5 to 3.3 at the end of the proximal tubule, it follows that 60–70% of the filtered solute and 60–70% of the filtered water have been removed by the time the filtrate reaches this point.